False positive D-xylose test is seen in-a) Ascitesb) Blindloop syndromec) Aspirind) Hepatic failure
1. ab
2. bc
3. abc
4. bcd

Correct answer: 3. abc